"Double bubble" sign with air shadows absent in distal bowel coils on X-ray abdomen is characteristic of
1. Duodenal webs
2. Duodenal atresia
3. CHPS
4. All of the above

Correct answer: 2. Duodenal atresia

Explanation: Ans. Duodenal atresia